Most basic amino acid out of the following is
1. Alanine
2. Arginine
3. Histidine
4. Lysine

Correct answer: 2. Arginine

Explanation: Arginine is the most basic amino acid with pk value of side chain (R) 12.5
Aspartic acid is the most acidic amino acid with pk value of side chain (R) 3.9